Singers Alkali denaturation test is done with:
1. Maternal Hb
2. Fetal Hb
3. Amniotic fluid
4. Menstrual fluid

Correct answer: 2. Fetal Hb